'Mission Indradhanush' includes all of the vaccines except:
1. BCG
2. Japanese Encephalitis
3. Typhoid
4. Measles

Correct answer: 3. Typhoid

Explanation: c. Typhoid(Ref: Nelson's 20/e p 1246, 1292-1293, Ghai 8/e p 197-198)Mission IndradhanushIncludes vaccination against 7 life-threatening diseases (diphtheria, whooping cough, tetanus, polio, tuberculosis, measles and hepatitis B) in the entire country